In January, two school districts saw a sudden increase in absences. At the same time, sales of over-the-counter medications for fever, cough, and cold symptoms increased dramatically. To determine the etiology of this outbreak of respiratory illness, the public health department conducted a survey of local physicians to see what types of patients they were currently seeing most. The doctors all reported increased numbers of patients complaining of abrupt onset of high fever, severe headache, and myalgia followed by sore throat, dry cough, weakness, and severe fatigue. The patients were ill for 3 to 5 days, but many reported persistent malaise. What is the most likely diagnosis for this outbreak?
1. Common cold
2. Hand-foot-and-mouth disease
3. Influenza
4. Pharyngitis

Correct answer: 3. Influenza

Explanation: The symptoms described by the physicians are those of classic uncomplicated influenza (c), which usually occurs in successive waves of infection (outbreaks) with peak incidences during the winter months in temperate climates. The abrupt onset of systemic symptoms (fever, chills, head, and muscle aches) followed by respiratory symptoms is typical of influenza. Neither the common cold (a) or pharyngitis (d) takes into account the whole group of symptoms. Some patients may develop primary viral pneumonia or secondary bacterial pneumonia, but the symptoms are not characteristic of pneumonia (e). Hand-foot-and-mouth disease (b) is not as severe and includes vesicular lesions.